False about Noonan syndrome
1. Autosomal recessive
2. Mutations in chromosome 12
3. Both males and females are affected
4. Low clotting factors XI and XII

Correct answer: 1. Autosomal recessive

Explanation: Noonan syndrome - Autosomal dominant.